Cognition is -
1. Perception
2. Thought
3. Action
4. Feeling

Correct answer: 2. Thought

Explanation: Cognition is the process of thought or way of thinking. Cognition refers to thoughts which patients have about themselves and the world as well as global brain functioning (memory, language, alertness, awareness, orientation etc).